KRAS proto-oncogene is associated with
1. Colon cancer
2. Breast cancer
3. Bladder cancer
4. Melanoma

Correct answer: 1. Colon cancer

Explanation: RAS Oncogenes Tumours with RAS mutations KRAS - adenoca colon, lung, pancreas HRAS - bladder, kidney NRAS - melanoma, hematopoietic tumors